Enzymes used in DNA research programme are except:
1. Polymerase
2. Exonuclease
3. Nuclease
4. None

Correct answer: 4. None

Explanation: D i.e. None Enzymes used in recombination DNA technology are nuclease (BAL-31, S1), exonuclease (III, A), endonuclease (restriction), DNase I, DNA polymerase I, DNA ligase, reverse transcriptase (RNA dependent DNA polymerase) Q, polynucleotide kinase, terminal transferase and alkaline phosphatase (not acid phosphatase)Q